Which of the following is NOT a branch of intracranial part of Internal carotid artery(103 - BDC- 3) 4th edition
1. Anterior communicating
2. Anterior cerebral
3. Middle cerebral
4. Posterior communicating

Correct answer: 1. Anterior communicating

Explanation: (Anterior communicating) (103- BDC-3, 4th edition, 750 Snell 8th)Branches of the Internal Carotid Artery* There are no branches in the neck** (Cervical), Many important branches, however are given off in the skull* Cerebral part branches(i) Opthalmic(ii) Anterior cerebral(iii) Posterior communicting(iv) Middle cerebral(v) Anterior choroidal* Of these the opthalmic artery supplies structures in the orbit while the others supply the brain